Pneumatosis intestinalis is diagnostic of
1. Ileal perforation
2. Necrotizing enterocolitis
3. Meconium ileus
4. Colonic aganglionosis

Correct answer: 2. Necrotizing enterocolitis

Explanation: .Necrotising enterocolitis is an acquired inflammatory disease commonly seen in infants and newborn but occasionally can occur in children and adults. It ismore commonly seen in premature babies. It is more common in formula fed babies than breast bed babies. Reduced gut flora make virulent pathogens to act and cause sepsis. * Common site is terminal ileum, caecum and ascending colon. Often it can involve entire small bowel. * Gas in the bowel wall and often in portal vein is typical. ref:SRB's manual of surgery ,ed 3,pg no 810